Maximum absorption of water takes place in :
1. Proximal convoluted tubule
2. Distal convoluted tubule
3. Collecting duct
4. Loop of henle

Correct answer: 1. Proximal convoluted tubule

Explanation: A i.e. Proximal convoluted tubuleThe proximal convoluted tubule reabsorbs about 50-60% of water and solute that is filtered at glomerulus. Water absorption occurs entirely by osmotic diffusionQ.